All of the following statements about immunosuppressants are true EXCEPT :
1. Sirolimus acts by inhibiting the action of IL–2
2. Tacrolimus inhibits calcineurin pathway
3. Mycophenolate acts by inhibiting GMP dehydrogenase
4. Cyclosporine is an integeral component of transplant rejection regimen

Correct answer: 3. Mycophenolate acts by inhibiting GMP dehydrogenase

Explanation: Mycophenolate mofetil acts by blocking IMP dehydrogenase.
Cyclosporine and tacrolimus are calcineurin inhibitors that act by decreasing the transcription of IL-2 gene. Cyclosporine is commonly used to prevent rejection in transplant recipients.
Sirolimus acts by inhibiting mTOR (a tyrosine kinase) that is the target of IL-2.